Muscle attached to the rough anterior impression of greater trochanter of femur?
1. Gluteus minimus
2. Gluteus medius
3. Gluteus maximus
4. Pyriformis

Correct answer: 1. Gluteus minimus

Explanation: Ans. A. Gluteus minimus. (Ref BDC 4th/Vol 2./pg. 17-20). BDC 4th/Vol 2./pg. 19...................... "The gluteus minimus arises from the outer surface of the ilium, between the anterior and inferior gluteal lines, and behind, from the margin of the greater sciatic notch and is inserted into the rough lateral part of the anterior surface of the greater trochanter." Muscle Origin Insertion Gluteus maximus # Outer slope of dorsal segment of iliac crest # Posterior gluteal line # Posterior part of gluteal surface of ilium behind the posterior gluteal line # Aponeurosis of erector spinae # Dorsal surface of lower part of sacrum # Side of coccyx # Sacrotuberous ligament # Fascia covering gluteus maximus - Deep fibres of the lower part - gluteal tuberosity - Greater part of the muscle - iliotibial tract Gluteus minimus Gluteal surface of ilium between the anterior and inferior gluteal lines Greater trochanter of femur, on a ridge on the lateral part of anterior surface Gluteus medius Gluteal surface of ilium between the anterior and posterior gluteal lines Greater trochanter of femur, on oblique ridge on lateral surface Piriformis # Pelvic surfaces of middle 3 pieces of sacrum (by 3 digitations). # Upper margin of greater sciatic notch and the adjoining areas of the sacroiliac joint and sacrotuberous ligament. - Apex of greater trochanter of femur Muscle attachments to femur Parts of femur Attachments 1 Fovea on the head - Ligament of head of femur (round ligament/ligamentum teres) 2 Greater trochanter - Pyriformis into - apex. - Gluteus minimus - rough lateral part of anterior surface. - Obturator internus and two gemelli into - upper rough impression on medial surface. - Obturator externus into - trochanteric fossa. - Gluteus medius - ridge on the lateral surface. 3 Lesser trochanter - Psoas major on the apex and the rough anterior surface. - Iliacus on anterior surface of the base of the trochanter and on the area below it. - Smooth posterior surface covered by bursa that lies deep to upper fibers of adductor magnus. 4 Intertrochanteric line - Capsular ligament of hip joint. - Upper and lower bands of iliofemoral ligament. - Origin to highest fibers of vastus medialis from lower end of the line. 5 Quadrate tubercle Insertion of quadratus femoris 6 Shaft - Medial and popliteal surface bare except for origin of medial head of the gastrocnemius. - Vastus intermedius from upper 3/4th of anterior and lateral surfaces. - Articular genu just below vastus intermedius. - Lower 5 cm of anterior surface related to suprapatellar bursa. - Vastus lateralis from upper part of the intertrochanteric line, anterior and inferior borders of greater trochanter, upper lip of gluteal tuberosity, upper half of lateral lip of linea aspera. - Vastus medialis from lower intertrocahnteric line, spiral line, medial lip of linea aspera, and upper l/4th of the medial supracondylar line. - Deeper fibers of gluteus maximus inserted into gluteal tuberosity. - Adductor magnus inserted along medial lip of the linea aspera between vastus medialis and adductor brevis and magnus. - Adductor brevis inserted into line from lesser trocahnter to upper linea aspera. - Adductor magnus inserted into medial margin of gluteal tuberosity, linea aspera, medial supracondylar line, and adductor tubercle. - Pectinus inserted on line extending from lesser trochanter to the linea aspera. - Short head biceps from lateral lip of linea aspera. - Lower end of lateral supracondylar line gives origin to plantaris and lateral end of gastrocnemius. - Popliteal surface covered with fat and forms floor of poiiteal fossa. - Origin of medial end of gastrocnemius extends to poiiteal surface. 7 Lateral condyle - Fibular collateral ligament of knee to lateral epicondyle. - Popliteus from deep anterior part of poiiteal groove. - Origin to lateral head of gastrocnemius. 8 Medial condyle - Tibial collateral ligament attached. - Adductor tubercle receives insertion of hamstring part of adductor magnus. 9 Intercondylar notch - Anterior cruciate ligament to posterior part of medial surface of lateral condyle. - Posterior cruciate ligament to anterior part of lateral surface of medial condyle. - Inetrcondylar line provides attachment to capsular ligament and laterally to oblique popliteal ligament. - Infrapatellar synovial fold is attached to anterior border of intercondylar fossa.